In a newborn child, we generally see
1. Maxillary protrusion
2. Maxillary retrusion
3. Mandibular protrusion
4. Mandibular retrusion

Correct answer: 4. Mandibular retrusion

Explanation: Pre-dentate period
At birth, the newborn has a small face, large head and small chin.
Textbook of orthodontics OP Kharbanda page 458